The function of Genioglossus is?
1. Retraction of tounge
2. Protruding tongue
3. Divergies to the same side
4. All of the above

Correct answer: 2. Protruding tongue

Explanation: Genioglossus is an extrinsic muscle of tongue ACTIONS OF GENIOGLOSSUS: It protrudes the tongue It pulls the posterior part of tongue forwards and protrudes the tongue forwards Thus it is a life-saving muscle NOTES: Hyoglossus-depress the tongue Styloglossus-retracts the tongue Palatoglossus-elevates the tongue Ref BDC volume 3.6th edition pg 266